Most common site of CA colon is -
1. Rectosigmoid Region
2. Ascending Colon
3. Descending Colon
4. Transverse Colon

Correct answer: 1. Rectosigmoid Region

Explanation: Ans. is 'a' i.e., Rectosigmoid Region o The most common site for carcinoma colon is rectosigmoid.SITEFREQUENCYRECTUM38%SIGMOID COLON21%CAECUM12%TRANSVERSE COLON5.5%DESCENDING COLON4%SPLENIC FLEXURE3%ASCENDING COLON5%